Which of the following nerve supplies gluteus maximus:
1. Superior gluteal nerve
2. Inferior gluteal nerve
3. Anterior gluteal nerve
4. Posterior gluteal nerve

Correct answer: 2. Inferior gluteal nerve

Explanation: Ans. (b) Inferior gluteal nerveRef.: BDC 6th ed. vol. II / 69; Gray's anatomy 40th ed./1384